The chromosomal complement in persons with Klinefelter's syndrome is :
1. 45, XO
2. 47 XXX
3. 46 XY
4. 47 XXY

Correct answer: 4. 47 XXY

Explanation: 47 XXY